Which angular vein branch causes cavernous sinus thrombosis -
1. Maxillary vein
2. Supraorbital vein
3. Infraorbital vein
4. Supratrochlear vein

Correct answer: 2. Supraorbital vein

Explanation: Ans. is 'b' i.e., Supraorbital vein o Angular vein is formed by the union of supratrochlear and supraorbital veins. There is communication between the supraorbital vein and superior ophthalmic vein, a tributary of cavernous sinus.Veins of faceo The facial vein is the largest vein of the face with no valves,o It begins as the angular vein at the medial angle of the eye.o Angular vein is formed by the union of supraorbital and supratrochlear veins.o The angular vein continues as facial veins. Which joins the anterior division of retromandubular vein (i.e. deep facial vein) below the angle of the mandible to form common facial vein,o Common facial vein drains into the internal jugular vein.o Facial vein communicates with cevernous sinus through deep connectionsA communication between supraorbital and superior ophhthalamic veins .With the pterygoud plexus through deep facial vein.o Therefore, infection from the face can spread in retrograde direction and cause cavernus sinus thrombosis (CVT).o This is specially likely to occur in the presence of infection in the upper lip and in lower part of the nose,o This area is, therfore, called dangerous area of the face.